"Tell-show-do" technique of child management was introduced by:
1. Bandura
2. Addleston
3. Joseph wolpe
4. Jordan

Correct answer: 2. Addleston